A 42 year old man in Mumbai is being treated for Atrial Fibbrillation (AF). You suspect thromboembolism on further investigatins. Thromboembolism of axillary artery can affect all of the following vessels, EXCEPT:
1. Post circumflex humeral
2. Suprascapular artery
3. Subscapular artery
4. Superior thoracic artery

Correct answer: 2. Suprascapular artery

Explanation: Suprascapular artery is a branch of thyrocervical trunk of the subclavian artery, not axillary artery. The axillary artery has several smaller branches. First part (1 branch) Superior thoracic artery Second part (2 branches) Thoraco-acromial artery Lateral thoracic artery Third part (3 branches) Subscapular artery Anterior humeral circumflex artery Posterior humeral circumflex artery It continues as the brachial artery past the inferior border of the teres major.